The blood supply of anterior cruciate ligament (ACL) is primarily derived from
1. Superior medial genicular artery
2. Descending genicular artery
3. Middle genicular artery
4. Circumflex fibular artery

Correct answer: 3. Middle genicular artery

Explanation: Blood supply of cruciate (anterior & posterior) ligaments is from : -


Middle genicular artery (major supply)
Inferior genicular (medial & lateral) artery (less important).